Eruption of 1st molar permanent tooth occurs at the age of:
1. 4-5 years
2. 6-7 years
3. 7-8 years
4. 8-10 years

Correct answer: 2. 6-7 years

Explanation: b. 6-7 years(Ref: Nelson's 20/e p 1768-1771, Ghai 8/e p 11)Permanent dentition begins at 6 years and is completed by 12 years (except for 3rd molar).